Mononuclear phagocytes are produced by ?
1. Thymus
2. Spleen
3. Bone marrow
4. Liver

Correct answer: 3. Bone marrow

Explanation: Ans. is 'c' i.e., Bone marrow Mononuclear macrophage cells originate in the bone marrow from precursor cells and become monocytes in about 6 days.